Short-acting non-depolarizing blocker
1. Rocuronium
2. Suxamethonium
3. Mivacurium
4. Pancuronium

Correct answer: 3. Mivacurium

Explanation: SKELETAL MUSCLE RELAXANTS

 Skeletal muscle relaxants are drugs that act peripherally at neuromuscular junction/muscle fibre itself or centrally in the cerebrospinal axis to reduce muscle tone.
 The neuromuscular blocking agents are used primarily in conjunction with general anesthetics to provide muscle relaxation for surgery, while centrally acting muscle relaxants are used mainly for painful muscle spasms and space neurological conditions.